Which of the following attitude will be seen in a patient with posterior dislocation of hip?
1. Flexion, Abduction, Internal rotation
2. Flexion, Adduction, Internal rotation
3. Flexion, Abduction, External rotation
4. Flexion, Adduction, External rotation

Correct answer: 2. Flexion, Adduction, Internal rotation

Explanation: Dislocations are usually posterior, and occasionally anterior, or central through the acetabulum. Posterior dislocation: Hip is flexed, adducted, and internally rotated, and leg is shortened. Anterior dislocation: Hip is flexed, abducted, and externally rotated, and leg is shortened. Central dislocation: Trochanter is displaced medially. One may be able to feel the head of femur rectally. There is no shortening.